Most common cause of Fulminant hepatitis in pregnancy
1. Hep B
2. Hep C
3. Hep D
4. HepE

Correct answer: 4. HepE

Explanation: Ans. (d) Hep ERef: Harrison 19th ed. /152e-2t, 0215* Most common cause of fulminant hepatitis in pregnancy is HEV* Most common cause of viral hepatitis in India overall = Hepatitis A* Most common cause of blood transfusion associated hepatitis =HCV* Most common viral hepatitis in India in children= HAV* Most common viral hepatitis in India in adults= HEV* Most common cause of FULMINANT hepatic failure= toxins> Hepatitis B>superinfection of Hep B